Which is a fructosan?
1. a) Pectin
2. b) Inulin
3. c) Chitin
4. d) Glycogen

Correct answer: 2. b) Inulin

Explanation: - Iulin(Fructosan)- Homopolysaccharide of Fructose in b 2 -------> 1 linkage. Used in clearance test to determine GFR.